All of the following are present in Superficial perineal pouch except -
1. Sphincter urethrae muscle
2. Bulbospongiosus
3. Posterior scrotal nerves
4. Duct of Bulbourethral glands

Correct answer: 1. Sphincter urethrae muscle

Explanation: Sphincter urethrae muscle is a part of deep perineal space.